A 23-year-old female presented with jaundice and pallor for 2 months. Her peripheral blood smear shows the presence of spherocytes. The most relevant investigation to arrive at a diagnosis is which of the following?
1. Tests for PNH
2. Osmotic fragility test
3. Coombs test
4. Reticulocyte count

Correct answer: 3. Coombs test

Explanation: Coombs test going to be positive in autoimmune hemolytic anemia; negative in hereditary spherocytosis. Thus, a differentiation between these conditions can be done.